Which of the following is false about G6PD deficiency?
1. Autosomal recessive
2. Commonly manifests as hemolysis on exposure to oxidant stress
3. Heinz bodies are seen
4. Older red cells are prone to hemolysis

Correct answer: 1. Autosomal recessive

Explanation: G6PD deficiency - x - linked recessive.